Hypogastric Sheath is a condensation of?
1. Scarpa's fascia
2. Colle's fascia
3. Pelvic fascia
4. Inferior layer of Urogenital diaphragm

Correct answer: 3. Pelvic fascia

Explanation: Hypogastric sheath is a condensation of the endopelvic fascia (pelvic fascia).